In case of Blockade of 2nd part of axillary artery blood supply to upper limb is maintained by which anastomosis -
1. Dorsal scapular anastomosis
2. Ventral scapular anastomosis
3. Circle of Willis
4. Anastomosis around internal thoracic artery

Correct answer: 1. Dorsal scapular anastomosis

Explanation: Ans. is'a'i.e., Dorsal scapular anastomosis(Ref: Clinical anatomy 3d/e p. 756)Dorsal Scapular Anastomosis:This anastomosis occurs connects the 1st part of subclavian artery to the third part of axillary artery providing an alternate route of flow of blood in case of occlusion anywhere within the subclavian and axillary artery.